Liver biopsy of an icteric patient shows intensely eosinophilic objects called as Councilman bodies. What can be the diagnosis of this patient?
1. Heart failure
2. Acute viral hepatitis
3. Cirrhosis of liver
4. Wilson's disease

Correct answer: 2. Acute viral hepatitis

Explanation: Councilman bodies (acidophil or apoptotic body) are individual hepatocyte necrosis, in which a dead hepatocyte is identifiable as a shrunken, intensely eosinophilic, round body with no or a pyknotic nucleus. They lie free in the sinusoid. They found in the liver of individuals suffering from viral hepatitis, yellow fever, or other viral syndrome. Ref: The Washington Manual of Surgical Pathology: Department of Pathology and ... By Peter A. Humphrey, Louis P. Dehner, John D. Pfeifer, 2008, Page 209 ; Biopsy Interpretation of the Liver by Stephen A. Geller, Lydia M. Petrovic, Page 90